Which of the following is NOT a dietary anti-oxidant:
1. Beta-carotene
2. Vitamin D
3. Vitamin E
4. Vitamin C

Correct answer: 2. Vitamin D

Explanation: Ans. B i.e. Vitamin DThe vitamins that are considered antioxidants include vitamin A, vitamin C, vitamin E and beta carotene, but many minerals like selenium, lycopine and zeaxanthin are also antioxidants.